Advantages of fluid resin technique for denture base fabrication is
1. Improved adaptability to underlying tissues
2. Less material cost
3. Simple flasking and deflasking procedures
4. All of the above

Correct answer: 4. All of the above

Explanation: Advantages for fluid resin technique includes

Improved adaptation to underlying tissues
Decreased probability of damage to prosthetic teeth and denture base
Less material cost
Simple technical procedures

Potential disadvantages include

Noticeable shifting of prosthetic teeth during processing
Air entrapment within denture base material
Poor bonding between denture base material and acrylic resin teeth
Technique sensitivity.